All are true of actue rheumatic fever except -
1. Aschoff nodule in mycoacardium
2. Focal myocardial fiber necrosis
3. Microthrombi in arteriole
4. Lymphocytic myocarditis

Correct answer: 3. Microthrombi in arteriole